A woman assaulted by neighbor was brought to you in the emergency department with fracture of middle tooth, injury was extended medially to the mouth and there was also contusion to bilateral leg. What is the nature of the injury?
1. Grievous injury
2. Simple injury
3. Dangerous injury
4. Assault

Correct answer: 1. Grievous injury

Explanation: Ans. a. Grievous injury (Ref: Reddy 33/e p292, 29/e p261-263; Parikh 6/e p4.59-4.60)Fracture or dislocation of a bone or a toothQ constitute Grevious injury.Grevious Injury (Sec 320 IPC)QEmasculationQPermanent privation of either eyeQPermanent privation of either earPrivation of any member (part, organ or limb) or joint Permanent disfiguration of head or faceQFracture or dislocation of a bone or a toothQDestruction or permanent impairing of powers of any member or jointAny hurt which endangers life, or which causes the sufferer to be, during the space of 20 days, in severe body pain, or unable to follow his daily routineQ.